Structures related to the medial surface of the hyoglossus muscle include the following EXCEPT
1. Glossopharyngeal nerve
2. Stylohyoid ligament
3. Lingual artery
4. Hypoglossal nerve

Correct answer: 4. Hypoglossal nerve